Pannus is seen in -
1. OA
2. RA
3. Gout
4. None

Correct answer: 2. RA

Explanation: Ans. is 'b' i.e., RA o Pannus is seen in rheumatoid arthritis.o It is neoplasm-like growth of inflammed synovial tissue that leads to destruction of joint structures,o It is initially a granulation tissue consisting of blood vessels, inflammatory cells, and proliferating fibroblasts that invades and overruns articular cartilage.o The articular cartilage at pannus interface appear to undergo chondrolysis.o Pannus appear to develop within and around the synovium, subsequently creeping into and over the articular cartilage and enveloping it and the underlying bone in a deathlike grasp.